Potassium channel opener with anti anginal activity is
1. Nicorandil
2. Dipyramidole
3. Trimetazidine
4. Oxyphedrine

Correct answer: 1. Nicorandil

Explanation: Refer katzung 11e p 158 Nicorandil is a vasodilatory drug used to treat angina. Angina is chest pain that results from episodes of transient myocardial ischemia. This can be caused by diseases such as atherosclerosis, coronary artery disease and aortic stenosis. Angina commonly arises from vasospasm of the coronary arteries.